Motility disorders of the oesophagus are best diagnosed by -
1. Barium meal
2. Manometry
3. Radiography
4. Endoscopy

Correct answer: 2. Manometry

Explanation: Davidson's principles and practice of medicine 22nd edition. *Manometry confirms the high pressure ,non relaxing lower oesophageal sphincter with poor contractility of the oesophageal body .